Glucose-6-phosphate dehydrogenase deficiency is -
1. Autosomal recessive
2. Autosomal dominant
3. Sex-linked recessive
4. Sex-linked dominant

Correct answer: 3. Sex-linked recessive